Which among the following doesn't affect Eyes?
1. Onchocerca volvulus
2. Trypanosoma
3. Loa loa
4. Trichuris

Correct answer: 4. Trichuris

Explanation: Trichuris REF: Jawetz, Melnick, & Adelberg's Medical Microbiology, 24TH edition chapter 46 Table 46-4 "Trichinella infectes by ingestion of undercooked pork which contains encysted larvae in the straited muscle" About option (B); Infective forms of T cruzi do not pass to humans by triatomine a bug bite (which is the mode of entry of the nonpathogenic T rangeli); rather, they are introduced when infected bug feces are rubbed into the conjunctiva, the bite site, or a break in the skin. For other options See APPENDIX-74 for "DISEASES DUE TO HELMINTHS"